Symmetrical multiple lesions are seen in which type of leprosy –
1. Borderline
2. Neuritic
3. Lepromatous
4. Tubercular

Correct answer: 3. Lepromatous

Explanation: Multiple lesions which are symmetrical are seen in lepromatous leprosy.